Not a second messenger:
1. cAMP
2. cGMP
3. Ca
4. None

Correct answer: 4. None